Von Geirke’s occurs due to deciency
of
1. Liver Phosphoryias
2. Glucose-6-phosphatas
3. Muscle phosphoryiase
4. Debranching enzyme

Correct answer: 2. Glucose-6-phosphatas

Explanation: o Glucose – 6- phosphatase is deficient in Von Gierke’s disease